Anesthetic agent/s which have tocolytic effect are
1. Halothane
2. Enflurane
3. Isoflurane
4. All the Above

Correct answer: 4. All the Above

Explanation: Halothane, enflurane, and isoflurane produce a dose-dependent decrease in uterine tone (tocolysis)Studies of isoflurane demonstrate that halogenated compounds reduce both the frequency of uterine contractions and the interval between them.(Refer: stoelting's pharmacology and physiology in anaesthetic practice, 5th edition, pg no.122-127)